A 24 years old female has flaccid bullae in the skin and oral erosions. Histopathology shows intraepidermal acantholytic blister. The most likely diagnosis is –
1. Pemphigoid
2. Erythema multiforme
3. Pemphigus vulgaris
4. Dermatitis herpetiformis

Correct answer: 3. Pemphigus vulgaris

Explanation: Flaccid bullae
Mucosa involved
Intraepidermal acantholysis